Resting membrane potential is maintained due to
1. K+
2. Na+
3. Mg++
4. Cl-

Correct answer: 1. K+

Explanation: K+ is responsible for resting membrane potential It diffuses passively across the k+ channal from high to low concentration Ref:Guyton and Hall textbook of medical physiology 12th edition,page number:34,35,36